Earliest radiological change in RHEUMATOID ARTHRITIS is ?
1. Decreased joint space
2. Articular erosion
3. Periarticular osteopenia
4. Subchondral cyst

Correct answer: 3. Periarticular osteopenia

Explanation: REF : MAHESWARI 9TH ED